True statement regarding depolarizing neuromuscular blocking drugs is :
1. The depolarized muscles fibres are unresponsive to other stimuli
2. Causes muscular fasciculations
3. Not reversed by neostigmine
4. All of the above

Correct answer: 4. All of the above